Preferred X-ray view used for orbital floor?
1. Water's view
2. Caldwell's view
3. Lateral skull view
4. Stenver's Towne's view

Correct answer: 1. Water's view

Explanation: X-Ray views for evaluating Orbit: 1. Rhese view is used for Optic Canal 2. Caldwell View is for Superior Orbital fissure 3. Townes View for Inferior Orbital Fissure 4. Waters View for Orbital Floor